Which enzyme metabolizes succinylcholine?
1. Acetyl cholinesterase
2. Butyryl cholinesterase
3. Tissue esterase
4. Nonspecific esterase

Correct answer: 2. Butyryl cholinesterase

Explanation: Liver produces an enzyme called Butyrylcholinesterase and release in plasma called plasma cholinesterase or Pseudocholinesterase. Succinylcholine is metabolized by butyrylcholinesterase/plasmacholinesterase/pseudocholinesterase. drugs metabolized by pseudocholinesterase 1. succinylcholine 2. Mivacurium 3. ester local anaesthetics